Osseocartilaginous junction on the dorsum of nose is?
1. Nasion
2. Columella
3. Rhinion
4. Glabella

Correct answer: 3. Rhinion

Explanation: The intersection of the two nasal bones with the frontal bone is known as NASION. The junction of the lower end of the internasal suture with the lower cartilaginous part of the nose is a mid line RTI known as RHINION. ( Ref Cummings 6th edition, Pg no. 493 )